"Fothergill's disease" is one of the synonyms of:
1. Sarcoidosis
2. Multiple sclerosis
3. Trigeminal neuralgia
4. Lupus erythematosus

Correct answer: 3. Trigeminal neuralgia

Explanation: Trigeminal Neuralgia (Tic Douloureux, Trifacial Neuralgia, Fothergill's Disease)
Trigeminal neuralgia is an archetype of orofacial neuralgias which follows the anatomical distribution of the fifth cranial nerve. It mainly affects the second and third divisions of the trigeminal nerve and almost always exhibits a trigger zone, stimulation of which initiates paroxysm of pain. The pain is often accompanied by a brief facial spasm or tic. Pain distribution is unilateral and lasts for a few seconds to few minutes. Physical examination eliminates alternative diagnoses. Signs of cranial nerve dysfunction or other neurologic abnormality exclude the diagnosis of idiopathic TN and suggest that pain may be secondary to a structural lesion.
Reference: Shafer’s Textbook of ORAL PATHOLOGY Eighth Edition page no 571